Most common site of peripheral aneurysm?
1. Brachial artery
2. Popliteal artery
3. Radial artery
4. Femoral artery

Correct answer: 2. Popliteal artery

Explanation: Most common site of splanchnic aneurysm is splenic artery Most common site of visceral arterial aneurysm is splenic artery MC vessel involved in aneurysm: Circle of willis MC location of extra - cranial aneurysm: Aorta >Iliac> Popliteal > Femoral (AIPE) MC site of extra- cranial arterial aneurysm is infrarenal aorta MC site of peripheral aneurysm: Popliteal aneurysm Degenerative aneurysms (caused by atherosclerosis) are MC AAA (90%)